The following are autosomal dominant disorders except-
1. Mytonic dystrophy
2. Von Willebrand disease
3. Haemochromatosis
4. Marfan's syndrome

Correct answer: 3. Haemochromatosis